For obtaining functional impression for RPD:
1. Teeth are recorded in anatomical form and ridge in functional form
2. Teeth are recorded in functional form and ridge in anatomical form
3. Teeth and ridge are recorded both in anatomical and functional form
4. None of the above

Correct answer: 1. Teeth are recorded in anatomical form and ridge in functional form